Helicobacter pylori is not associated with
1. Gastrointestinal lymphoma
2. Gastric cancer
3. Gastric leiomyoma
4. Peptic ulcer

Correct answer: 3. Gastric leiomyoma